Not a selective serotonin reuptake inhibi-tor
1. Fluoxitine
2. Fluoxamine
3. Buspirone
4. Citaloforamin

Correct answer: 3. Buspirone

Explanation: Buspirone